Tubular vision seen in -
1. Myopia
2. Hypermetropia
3. Presbyopia
4. Optic neuritis

Correct answer: 1. Myopia

Explanation: Ans. is 'a' i.e., Myopia Causes of Tubular vision Retinitis pigmentosa High Myopia Primary open angle glaucoma CRAO with sparing of cilioretinal artery